Intrauterine pressure is raised during labour to
1. First stage - 40 to 50 mm Hg
2. Second stage- 100 to 120 mm Hg
3. Third stage - 100 to 120 mm Hg
4. All the above

Correct answer: 4. All the above

Explanation: Intrauterine pressure during labor: First stage - 40 to 50 mm Hg Second stage- 100 to 120 mm Hg Third stage - 100 to 120 mm Hg